Which of the following is not a boundary of the Koch's triangle
1. Tendon of Todaro
2. Limbus fossa ovalis
3. Coronary sinus
4. Tricuspid valve ring

Correct answer: 2. Limbus fossa ovalis

Explanation: o The atrioventricular node (AVN) is within the subendocardial layer of the heart wall of the interatrial septum. In relation to the right atrium, its position is within the triangle of Koch o Triangle of Koch: a roughly triangular area on the septal wall of the right atrium, bounded by the base of the septal leaflet of the tricuspid valve, the anteromedial margin of the orifice of the coronary sinus, and the tendon of Todaro; it marks the site of the atrioventricular node.